True regarding lymph node enlargement in Hodgkin's Lymphoma
1. Matted lymph nodes
2. Painless
3. Non-progressive
4. Tender

Correct answer: 2. Painless

Explanation: There is painless, progressive enlargement of lymph nodes. They are discrete, and non-tender.